What does lines of Blaschko represent
1. Lines along Lymphatics
2. Lines along Blood vessels
3. Lines along Nerves
4. Lines of Development

Correct answer: 4. Lines of Development

Explanation: LINES OF BLASCHKO The lines of Blaschko represent a pattern assumed by many different nevoid and acquired skin diseases on the human skin and mucosae. These lines do not correspond to any known nervous, vascular or lymphatic structures but represent the developmental growth pattern of the skin. Ref:- Oxford Blackwell Science; pg num 360-1